Mcknow's operation is done for which carcinoma?
1. Ca. oesophagus
2. Ca. stomach
3. Bronchogenic carcinoma
4. Ca. colon

Correct answer: 1. Ca. oesophagus

Explanation: Ans. a (Carcinoma esophagus). (Ref. LB, 4th ed., 1032)Carcinoma of esophagus# Squamous cell carcinoma of esophagus usually affects upper 2/3rd, while adenocarcinoma (and Barret's esophagus) usually involve lower third of esophagus.# Incidence of adenocarcinoma is increasing these days and is most common type in western world while world wide squamous cell carcinoma is most common with middle third of esophagus being the most common site.# Staging CT is essential; EUS, esophagoscopy and laproscopy may be useful. However EUS is the best method for preoperative staging of primary lesion and regional lymphnodes.Treatment# Gastrostomy should never be the part of treatment for carcinoma of oesophagus.# Radical esophagectomy gives best chance of cure.# Adjuvant chemotherapy may be helpful.# Radiotherapy alone may be curable in some selected cases especially with squamous cell carcinoma. Useful palliation in advanced cancer can be achieved with RT, LASER and/or stenting.# Two stage or Ivory Lewis operation (abdomen and thorax open together) and Mckeown or three stage operation (a third incision in neck made to complete anastomosis) are useful operations.